Focal length of head mirror used in ENT OPD
1. 9 Inch
2. 10 Inch
3. 11 Inch
4. 12 Inch

Correct answer: 2. 10 Inch

Explanation: Head mirror: It is a concave mirror used to reflect light from the Bull's eye lamp onto the part being examined. It has a focal length of approximately 25 cm. The examiner sees through the hole in the centre of the mirror. Diameter of the mirror is 89 mm (3 1/2 ") and that of the central hole is 19 mm (3/4") Ref: Dhingra 7e pg 427.